True about amino group of amino acid is :
1. Accepted by a-ketoglutarate
2. Funneled to L- Glutamate
3. Prevents oxidative breakdown
4. All of the above

Correct answer: 4. All of the above

Explanation: All of the above